Finger printing method was first used in:
1. India
2. Japan
3. China
4. None of the above

Correct answer: 1. India

Explanation: Ans: a (India) Ref: Reddy, 27th ed, p. 76Finger printing method was first used in India in 1858 by Sir William HerschelIt was systematized by Galton in 1892Commonest type is - Loop > WhorlLeast common is composite.DN A fingerprinting was discovered by Alec Jeffreys